Mercury poisoning is characterized by all Except
1. Tremor
2. KF ring
3. PCT necrosis
4. Salivation

Correct answer: 2. KF ring

Explanation: Kayser-Fleischer ring A golden brown or green ring is seen in the peripheral descement's membrane is a diagnostic feature of Wilson's disease. This will also be seen in chronic exposure to copper. Ref: FORENSIC MEDICINE AND TOXICOLOGY Dr PC IGNATIUS THIRD EDITION PAGE 430